HbE is common in –
1. Punjab
2. Kerala
3. Bengal
4. Maharstra

Correct answer: 3. Bengal

Explanation: Besides hemoglobin S, there are other hemoglobinopathies due to a point mutation in the beta-globin chain of hemoglobin.
These are -


Hemoglobin C → Seen in Italians and black.
Hemoglobin E → Prevalent in Bengal, Assam and in East India.
Hemoglobin D → Prevalent in Punjabis and Gujaratis.